Shigella are be divided into subgroup on the basis of ability to ferment ?
1. Lactose
2. Maltose
3. Fructose
4. Mannitol

Correct answer: 4. Mannitol

Explanation: Ans. is 'd' i.e., Mannitol Classification of shigella Fermentation of mannitol is of importance in classification.